SLE like reaction is caused by?
1. Hydralazine
2. Rifampicin
3. Paracetamol
4. Furosemide

Correct answer: 1. Hydralazine

Explanation: ANSWER: (A) HydralazineREF: Harrison's Internal Medicine 17th ed chapter 113The list of substances that can induce lupus-like disease is long. Among the most frequent are;Antiarrhythmic: procainamide, disopyramide, and propafenoneAntihypertensive: hydralazine; several angiotensin-converting enzyme inhibitors and beta blockersAntithyroid: propylthiouracilAntipsychotics: chlorpromazine and lithiumAnticonvulsants: carbamazepine and phenytoinAntibiotics: isoniazid, minocycline, and macrodantinAntirheumatic: sulfasalazineDiuretic: hydrochlorothiazideAntihyperlipidemics: lovastatin and simvastatinInterferons and TNF inhibitors